A 28 Years of old lady presented with wrist pain. X-ray wrist us showing lytic eccentric lesion in lower end of radius with soap bubble appaerance, what is the next plan for managemnt
1. Bone curettage and bone grafting
2. Extended curettage with phenol
3. Biopsy of lesion
4. Extended curettage with phenol and bone grafting

Correct answer: 3. Biopsy of lesion

Explanation: It is a case of giant cell tumor Actually next investingation should be MRI followed by biopsy In bone tumors :x ray ------MRI-----biopsy------treatment ref : maheswari 9th ed